Maximum risk of death is seen in which week of the neonatal period?
1. First week
2. Second week
3. Third week
4. Fourth week

Correct answer: 1. First week

Explanation: The major causes of neonatal mortality are prematurity/low birthweight (LBW) and congenital anomalies.Mortality is highest during the 1st 24 hr after birth.Neonatal mortality accounts for about two-thirds of all infant deaths (deaths before 1 yr of age).(Refer: Nelson, Chapter 93; pg no. 789)